which of the following is not a phase of endometrium ?
1. progestational phase
2. menstrual phase
3. ovulatory phase
4. proliferative phase

Correct answer: 3. ovulatory phase

Explanation: Following are the three phases of endometrium: 1. Proliferative phase: The lining comprises simple columnar epithelium. Stroma contains simple tubular glands. Its deeper part contains sections of coiled arteries. 2. Progestationalphase: The glands get sacculated and tortuous. The sections of coiled arteries are seen in the superficial part of thick endometrium. 3. Menstrual phase: This phase occurs due to decline of both the hormones. The endometrium becomes ischaemic and starts being shed. The vessel wall gets necrosed and blood enters the stroma and menstrual flow starts. Ref : B D Chaurasia's Human Anatomy , seventh edition , volume 2, pg.no., 426.